All are features of otosclerosis EXCEPT
1. Scwartz sign
2. Dip in audiogram
3. Endolymphatic hydrops
4. Willis' paracusis

Correct answer: 3. Endolymphatic hydrops

Explanation: Ans. c (Endolymphatic hydrops). (Ref. Diseases of ENT, PL Dhingra, 3rd ed., 58, 129)MENIERE'S DISEASE (endolymphatic hydrops)Otosclerosis (MH 05)- Classic triad of symptoms include:- Vertigo- Tinnitus- Sensory neural hearing loss- Tullio phenomenon: condition where loud sounds/ noise produces vertigo- Rinnie test positive: ABC decreases affected ear and lateralizes to normal.- Recruitment test positive- Tone decay test positive (20 decibel)- DiapJacusis: music seems discordant.- There occurs transformation of the Otic capsule into spongy bone, which latter becomes sclerotic bone.- Depression in audiogram and cahart's notch- Schwart's sign (red hue may be seen through the tympanic membrane of promontory)- Paracusis Willis (patient hears better in noisy surroundings)- Most commonly starts at fistula antefenestrum- Reduced compliance at ambient pressure i.e., type As tympanogram is diagnostic .- Stapedectomy is treatment of choice.